According to WHO technical series published, CPITN probe is also known as:
1. 611
2. 617
3. 621
4. 625

Correct answer: 3. 621